A 29 year old male was brought to ED with complaints of nausea, vomiting and abdominal cramps 3-4 hours after eating a meat in dinner. What is the likely cause of this condition?
1. Salmonella Enteritidis
2. Staphylococcus aureus
3. Clostridium botulinum
4. Clostridium perfringes

Correct answer: 2. Staphylococcus aureus

Explanation: Staphylococcal food poisoning- Occurs after eating meat and fish, or milk and milk products or potato salad. Incubatory Period:1-6 hr due to preformed toxin. Site of action: Toxin stimulates thevagus nerveand vomiting centre of the brain. Also stimulates the intestinal peristaltic activity. Heat stable (not destroyed after heating food) Rx Self-limited illness, symptoms generally resolves within 8 to 10 hrs. Treatments is symptomatic only No antibiotic is required. Extra edgeEmetic form of Bacillus cereus (IP-1-6 hours) food poisoning is associated with contaminated fried rice , but vomiting is not so common.